Substance common in skin, hair and nail is?
1. Vimentin
2. Keratin
3. Laminin
4. Nectin

Correct answer: 2. Keratin

Explanation: Ans. (b) KeratinRef.: Bolognia dermatology ch: 55